Protein to lipid ratio is LEAST in:
1. Inner mitochondrial membrane
2. Outer mitochondrial membrane
3. RBC membrane
4. Myelin sheath

Correct answer: 4. Myelin sheath

Explanation: Myelin sheath has the least Protein:Lipid Ratio Membrane Protein Lipid Carbohydrate Red blood cell membrane 49% 43% 8% Myelin around nerve cells 18% 79% 3% Inner mitochondrial membrane 76% 24% 0%